Arrangement of lens from eye to source of light, in light microscope -
1. Ocular lens : Subjective lens : Condesor lens
2. Subjective lens : Ocular lens : Condesor lens
3. Condesor lens : Subjective lens : Ocular lens
4. Subjective lens : Condesor lens : Ocular lens

Correct answer: 1. Ocular lens : Subjective lens : Condesor lens

Explanation: Condensor lens is the one which decided how much light should fall on object. Subjective lens is placed after the light reflects from object. Ocular lens near the viewers eye. REF:Textbook of microbiology, Ananthanarayan and Paniker.